Transverse ligament of atlas is part of -
1. Cruciform ligament
2. Ligamentum flava
3. Anterior longitudinal ligament
4. Posterior longitudinal ligament

Correct answer: 1. Cruciform ligament

Explanation: Transverse ligament forms the horizontal part of cruciform ligament.